Which of the following causes maximal cerebral vasodilation:
1. Hypercarbia
2. Hypoxia
3. Lactic Acidosis
4. Exercise

Correct answer: 1. Hypercarbia

Explanation: A i.e. Hypercarbia